Antihormonal substance used to induce ovulation:
1. Mifepristone
2. Clomiphene citrate
3. Tamoxifen
4. Raloxifen

Correct answer: 2. Clomiphene citrate

Explanation: Extra Edge: